Plasma drug monitoring is done for:
1. Drug with high safety margin
2. Drug with low safety margin
3. Drug with high therapeutic index
4. None

Correct answer: 2. Drug with low safety margin